KSY is
1. Empowerment of females under maternity benefit scheme
2. Adolescent girls scheme under ICDS
3. Free and compulsory education for girl child
4. Child care home scheme female juvenile delinquents

Correct answer: 2. Adolescent girls scheme under ICDS

Explanation: At present, there are two schemes for adolescent girls 'Kishore shakti yojana' and 'Nutrition programme for adolescent girls'Kishore shakti yojana is being implemented using the infrastructure of ICDS. The scheme targets adolescent girls in the age group of 11 to 18 years and address their needs of self-development, nutrition and health status, literacy and numerical and vocational skills.Nutrition programme for adolescent girls also being implemented using the infrastructure of ICDS. Undernourished adolescent girls in the age group 11 to 19 years (<30 in 11-15 ages and <35 in 15 to 19) are covered under the scheme.Park 23e pg: 592